WHO declared COVID- 19 as Global pandemic on:
1. 11th Feb 2020
2. 11th March 2020
3. 30th Jan 2020
4. 15th March 2020

Correct answer: 2. 11th March 2020

Explanation: COVID- 19: Origin- Wuhan, China 1st Dec, 2019- 1st case was reported 1st Jan, 2020- Wuhan seafood market was closed 7th Jan, 2020- Chinese health authority identifies Novel Corona virus 30th Jan, 2020- 1st case reported in India (Kerala); WHO declared it as Health emergency of international concern 11th Feb, 2020- Name COVID-19 by WHO 11th March, 2020- WHO declared COVID- 19 as global pandemic